A 22-year-old male football player suffered a wrist injury while falling with force on his outstretched hand. When the anatomic snuffbox is exposed in surgery, an artery is visualized crossing the fractured bone that provides a floor for this space. What artery was visualized?
1. Ulnar
2. Radial
3. Anterior interosseous
4. Posterior interosseous

Correct answer: 2. Radial

Explanation: As the radial artery passes from the ventral surface of the wrist to the dorsum, it crosses through the anatomic snuffbox, passing over the scaphoid bone. The ulnar artery at the wrist is located on the medial side of the wrist, passing from beneath the flexor carpi ulnaris to reach Guyon's canal between the pisiform bone and the flexor retinaculum. The anterior interosseous and posterior interosseous arteries arise from the common interosseous branch of the ulnar artery and pass proximal to distal in the forearm between the radius and ulna, in the flexor and extensor compartments, respectively. The deep palmar branch of the ulnar artery passes between the two heads of the adductor pollicis to anastomose with the radial artery in the palm.